Painful syndrome with increased reaction to a stimulus and an increased threshold; faulty identification and localization of stimulus, is called as:
1. Causalgia.
2. Hyperpathia.
3. Hyperasthesia.
4. Phantom pain.

Correct answer: 2. Hyperpathia.